In random sampling chance of being picked up is-
1. Same and known
2. Not same and not known
3. Same and not known
4. Not same but known

Correct answer: 1. Same and known